An unconscious 50 year old known case of diabetes mellitus is brought to the ER. His medical records show he is on warfarin for atrial fibrillation. Which of the following investigations will not be done in this patient for work up?
1. Lumbar puncture
2. Random blood sugar
3. NCCT
4. ECG monitoring

Correct answer: 1. Lumbar puncture

Explanation: Option A- Always C/I in bleeding diathesis & in |ICT Option B- Known case of D.M so RBS should be done. Option C- Since he is unconscious may be d/t warfarin toxicity so CT scan is a probable investigation. Option D- patient on warfarin for atrial fibrillation so ECG monitoring is mandatory.